Which of the following statements regarding the treatment modalities of PID is true?
1. Cefotetan 2g IV BD + Doxycycline 100 mg Oral BD
2. Remove IUD irrespective of antibiotic response
3. Treatment od partner not necessary
4. All of the above

Correct answer: 1. Cefotetan 2g IV BD + Doxycycline 100 mg Oral BD

Explanation: True statement regarding the treatment modalities of PID is Cefotetan 2g IV BD + Doxycycline 100 mg Oral BD. Treatment modalities: Medical treatment, antimicrobial Minimal invasive surgery Major surgery Management: Rest Intravenous fluids in the presence of dehydration or vomiting and correction of electrolyte imbalance Analgesics, once the diganosis is confirmed Antibiotics- Because of the damaging effect of gonococci and Chlamydia on the fallopian tubes and poly microbial nature of infection, it is mandatory to institute antibiotic therapy at the earliest and not wait for the culture results. First-line therapies: Cefoxitin (2 gm intravenously every 6 hours) or cefotetan (2gm IV every 12 hours) plus doxycycline (100mg orally every 12 hours) Because of the pain associated with intravenous infusion, doxycycline should be administered orally when possible. Oral and IV administration of doxycycline provide similar bioavailability. Placentrex (aqeous extract of thr fresh placenta) 1 ml intramuscularly daily or alternate days (total of 10 injections) has multipronged anti-inflammatory action. It also causes tissue regeneration, wound healing, and has significant immunotropic action involving both humoral and cellular immunity however it is outdated and not used currently. Partner should be investigated and treated There is no need to remove IUCD if the woman responds to antibiotics; failed response calls for its removal. Percutaneous abscess drainage (PAD) under CT/Ultrasound guidance of abdominal mass and pyoperitoneum yields 50% success and reduces the need for major surgery, with its associated mortality and morbidity. Ref: Shaw's textbook of Gynaecology 17th edition Pgno:344